All the following are indications for termination of pregnancy in APH patient except :
1. 37 weeks
2. IUD
3. Transverse lie
4. Continuous bleeding

Correct answer: 3. Transverse lie

Explanation: Ans. is c i.e. Transverse lie As discussed earlier, active management is done when: Patient is bleeding heavily / bleeding is continuing Pregnancy > 37 weeks Patient is in labour Patient is in exsanguinated state Gross fetal malformation/dead fetus Fetal distress present As far as lie is concerned : Friends, why would you terminate pregnancy just because of unstable lie or transverse lie, unless and until there is some other complication associated with it. Transverse lie/unstable lie in a patient of placenta previa simply means that whenever termination of pregnancy is considered cesarean section has to be done.